Electron transport chain is located in
1. Inner mitochondrial membrane
2. Inner part of mitochondrial membrane
3. Intermembranous
4. Matrix

Correct answer: 1. Inner mitochondrial membrane

Explanation: Localisation: The ETC is localised in the mitochondria. The outer membrane of mitochondria is permeable to most of the small molecules. There is an intermediate space which presents no barrier to passage of intermediates. The inner membrane shows a highly selective permeability. It has transport systems only for specific substances such as ATP, ADP, pyruvate, succinate, a-ketoglutarate, malate, and citrate etc (Refer Fig. 10.1). The enzymes of the electron transport chain are embedded in the inner membrane in association with the enzymes of oxidative phosphorylation.Ref: MN Chatterjea Textbook of Medical Biochemistry, 8th Edition, Page no: 138